Crookes hyaline body is present in
1. A. Yellow fever
2. B. Parkinsonism
3. C. Basophill cells of pituitary gland in Cushing syndrome
4. D. Huntington disease

Correct answer: 3. C. Basophill cells of pituitary gland in Cushing syndrome

Explanation: In Cushing syndrome, the normal granular,basophillic cytoplasm of the ACTH producing cells in the anterior pituitary becomes parlor and homogeneous . This is due to accumulation of intermediate keratin filaments in cytoplasm